CrPC 174 defines which of the following?
1. Cognisable offence
2. Police inquest
3. Magistrate inquest
4. Divisions of offences

Correct answer: 2. Police inquest

Explanation: Ans. is 'b' i.e., Police inquest CRIMINAL PROCEDURE CODE (CRPC), 1973* t provides the mechanism for punishment of offences against substantive criminal law. In simple words, it prescribes the procedure of investigation and trial of criminal offences. Important sections of CrPC are# 2(C) CrPC: Cognisable offence.# 6 to 25 CrPC: Constitution of criminal courts and officer.# 26 CrPC: Division of offences.# 27-35 CrPC: Power of courts.# 39 CrPC: Every person should give information to nearest magistrate or police officer, if that person is aware of commission of or intention of commission of an offence which is punishable under IPC.# 40 CrPC: Duty of officers appointed and every person residing in a village to inform unnatural death or dead body found.# 160 CrPC: Police officer has the power to summon any witness to police station for recording of statement (a male below 15 years and a women cannot be called to police station).# 161 CrPC: Police officer has the power to examine witness.# 162 CrPC: Oral statements made to the police and recorded by the police should not be signed.# 174 CrPC: Police inquest.# 174(3) CrPC: Procedure in dowry death.# 175 CrPC: Power of police to summon panchas.# 176 CrPC: Magistrate inquest.# 211 to 224 CrPC: Charge.# 225 to 237 CrPC: Session's trial.# 238 to 265 CrPC: Magistrate's trial.# Section 416 CrPC: Postponement of capital sentence on pregnat woman or its commutation of imprisonment for life can be done by the high court.# Section 409 CrPC: Withdrawal of cases and appeals by Session Judge.# Section 410 CrPC: Withdrawal of cases by Judicial Magistrate.# Section 411 CrPC: Making over or withdrawal of cases by executive magistrates.# Section 412 CrPC: Reasons to be recorded A Session judge or Magistrate making an order under section 408, 409, 410 or 411. Shall record his reasons for making it.